A 68-year-old female with congestive heart failure and progressive breathing problems Histologic sections of lung tissue is given below. These "heart failure cells" originate from alveolar?
1. Eosinophils
2. Endothelial cells
3. Macrophages
4. Lymphocytes

Correct answer: 3. Macrophages

Explanation: The following HPE reveal numerous hemosiderin-laden cells within the alveoli. In the lung, alveolar macrophages can phagocytize the red blood cells that accumulate in alveoli in individuals with congestive heart failure. These cells contain hemosiderin and are referred to as "heart failure cells." Reference: Robbins & Cotran Pathologic Basis of Disease, 9edition.